Best-know large sample study programme for coronary heart disease is
1. North kerelia study
2. Framingham study
3. Standford study
4. Oxford study

Correct answer: 2. Framingham study